Microcherry appearance is a characteristic of
1. Haemangioma
2. Erythema multiforme
3. Lichen planus
4. All of the above

Correct answer: 1. Haemangioma